For most effective cutting and long usefulness of a tungsten carbide bur, it should be
1. Rotating slowly before contacting the tooth
2. Rotating rapidly before contacting the tooth
3. Placed in contact with tooth before starting
4. Rotating rapidly before entering in to the oral cavity

Correct answer: 2. Rotating rapidly before contacting the tooth